A 42-year-old mother of three children visits the outpatient clinic complaining that her youngest son cannot walk yet. Radiographic and physical examinations reveal an unstable hip joint. Which of the following ligaments is responsible for stabilization of the hip joint in childhood?
1. Iliofemoral
2. Pubofemoral
3. Ischiofemoral
4. Ligament of the head of the femur

Correct answer: 4. Ligament of the head of the femur

Explanation: The ligament of the head of the femur conveys a small blood vessel for supply of the head of the femur (primarily in childhood). The ligament is stretched during abduction and lateral rotation of the hip joint and has an important role in stabilizing an infant's hip joint before walking. It has the potential to increase stability of the joint in hip reconstruction in developmental hip dysplasia in the pediatric population. The strength of this ligament is comparable to the anterior cruciate ligament of the knee. The iliofemoral ligament (the "Y-shaped ligament of Bigelow") on the anterior aspect of the hip bone resists hyperextension of the hip joint. The pubofemoral ligament arises from the pubic bone and is located on the inferior side of the hip joint; it resists abduction of the joint. The ischiofemoral ligament is a triangular band of strong fibers that arises from the ischium and winds upward and laterally over the femoral neck, strengthening the capsule posteriorly. The transverse acetabular ligament attaches to the margins of the acetabular notch and provides origin for the ligament of the head of the femur. The transverse acetabular ligament is fibrous, not cartilaginous, but is regarded as part of the acetabular labrum.